In a patient with AIDS, chorioretinitis is typically caused by
1. Cytomegalovirus
2. Toxoplasma gondii
3. Cryptococcus neoformans
4. Histoplasma capsulatum

Correct answer: 1. Cytomegalovirus

Explanation: Commonest ocular infection in HIV patient - CMV retinitis Bush- Fire appeareance Pizza- Pie Appearance Sauce & Cheese Appearance OCULAR HIV : - M/C ocular manifestation - Cotton wool spot or soft exudate or HIV retinopathy - M/C occular infection - CMV retinitis - M/C occular tumor - kaposi sarcoma > Lymphoma